The usual location of dieulafoy's lesion is in the:
1. Fundus of the stomach
2. Body of the stomach
3. Pylorus of the stomach
4. First part of the duodenum

Correct answer: 1. Fundus of the stomach

Explanation: Dieulafoy's lesion Large (1- to 3-mm) submucosal artery that protrudes through the mucosa. It is not associated with a peptic ulcer. It can lead to massive bleeding. Usually is located in the gastric fundus, within 6 cm of the GE junction. Ref: Sleisenger and Fordtran's, E-9, P-299.